Waist hip ratio below what value is associated with low cardiovascular morbidity in females?
1. 0.9
2. 1
3. 0.8
4. 0.5

Correct answer: 3. 0.8

Explanation: park's textbook of preventive and social medicine 23rd edition. *normal value WHR (waist-hip ratio) *females-<0.85, males-< 1